Gland of Moll opens in/on the ?
1. Skin
2. Hair follicle
3. Tarsal plate
4. Ducts of Meibomian glands

Correct answer: 2. Hair follicle

Explanation: Ans. is 'b' i.e., Hair follicle GLANDS OF EYELIDS : Meibomian glands : These are also known as tarsal glands and are present in the stroma of tarsal plate arranged vertically. They are modified sebaceous glands. Their ducts open at the lid margin. Their secretion constitutes the oily layer of the tear film. Glands of Zeis : These are also sebaceous glands, which open into the follicles of eyelashes. Glands of Moll : These are modified sweat glands situated near the hair follicle. They open into the hair follicles or into the ducts of Zeis glands. They do not open directly onto the skin surface or elsewhere. Accessory lacrimal glands of Wolfring : These are present near the upper border of the tarsal plate.